A school going boy was noted with vacant stare several times a day. There was no history of fever, seizures and neurological deterioration. What is the diagnosis –
1. Atonic seizures
2. Absence seizures
3. Myoclonic seizures
4. School phobia

Correct answer: 2. Absence seizures

Explanation: Absence seizure is characterized by a few seconds of impairment of consciousness without loss of postural control. There is associated eye blinking or staring which may occur as clustered events.